Drugs which increase level of Theophylline include
1. Ciprofloxacin
2. Cimetidine
3. Allopurinol
4. All of the above

Correct answer: 4. All of the above

Explanation: Refer KDT 6/e p 221 Drugs which inhibit Theophylline metabolism and increase it's plasma level are Erythromycin Ciprofloxacin Cimetidine OCP Allopurinol